Bode index is used in:
1. Liver transplantation
2. Renal transplantation
3. Lung transplantation
4. Heart transplantation

Correct answer: 3. Lung transplantation

Explanation: Ans. C. Lung transplantationBODE index is related to lung transplantation.BODE stands for* Body mass index* Airflow Obstruction* Dyspnea* Exercise capacity